Broca’s area is located at
1. Superior frontal gyrus
2. Inferior temporal gyrus
3. Inferior frontal gyrus
4. Superior temporal gyrus

Correct answer: 3. Inferior frontal gyrus